Enzyme that can be traced in semen sample of 8 - 10 weeks is:
1. Acid Phosphatase test
2. ALP test
3. LDH
4. CPK enzyme

Correct answer: 4. CPK enzyme

Explanation: Spermatozoa contains high concentration of creatine phosphokinase which is more than double then found in any other body fluid the enzyme is stable and can be demonstrated even in old stains of 6 months.